First carpometacarpal joint is a -
1. Hinge joint
2. Saddle joint
3. Elipsid joint
4. Synovial

Correct answer: 2. Saddle joint

Explanation: B i.e. Saddle